Mondor's disease -
1. Ca Breast
2. Thrombophlebitis of superficial veins of breast
3. Premalignant condition of breast
4. Filariasis of breast

Correct answer: 2. Thrombophlebitis of superficial veins of breast

Explanation: Ans. is 'b' i.e., Thromboblastids of superficial vain of breast Mondor's disease involves superficial thrombophlebitis of the superficial veins of the breast Diagnosis of superficial thrombophlebitis can be easily made by physical examination of an erythematous palpable cord coursing along a superficial vein, usually located along the lower extremities . Duplex ultrasonography is used if there is suspicion of proximal propagation into the deep venous system With this diagnosis of DVT anticoagulation is indicated Mondor's disease involves superficial thrombophlebitis of the superficial veins of the breast Diagnosis of superficial thrombophlebitis can be easily made by physical examination of an erythematous palpable cord coursing along a superficial vein, usually located along the lower extremities . Duplex ultrasonography is used if there is suspicion of proximal propagation into the deep venous system With this diagnosis of DVT anticoagulation is indicated